During Diastole, which of the following maintains the arterial pressure?
1. Elastic Recoil of aorta
2. Musculature of arteries
3. Constriction of capillaries
4. Contraction of left ventricle

Correct answer: 1. Elastic Recoil of aorta

Explanation: During diastole the stretched elastic wall of the aorta recoils and the potential energy stored in the wall is released into the blood. This causes the blood to flow during diastole also, in this way the pressure in the aorta does not fall below 80mmHg. Elastic recoil of big arteries act as a subsidiary pump for a continuous blood flow. This recoil effect is called windkessel effect. Ref: Textbook of Medical Physiology By Khurana, Page 178